The fascia from rectum to posterior pelvic wall is?
1. Fascia of waldeyer
2. Fascia of Denonviller
3. Scarpa's fascia
4. Colle's fascia

Correct answer: 1. Fascia of waldeyer

Explanation: Ans. is 'a' i.e., Fascia of WaldeyerPosteriorly rectum is related to sacrum, Coccyx, sacral nerves, median sacral artery and sacral veins.A fascia, known as Waldeyer's fascia, Separates the rectum from these structures and contains the plexus of veins draining the rectum.It is also called as presacral fascia.About other optionsScarpa's fascia is deep membranous layer of superficial fascia of anterior abdominal wall.Colle's fascia is membranous layer of superficial fascia of perineum.Fascia of Denonviller separates rectum from prostate.